Marker for menopause transition is:
1. Menstrual irregularity
2. Hot flushes
3. | bone mass
4. Cessation of menstruation

Correct answer: 1. Menstrual irregularity

Explanation: Ans. is a, i.e. Menstrual irregularityRef: Williams gynae 3rd/ed, p472There is only one marker of menopausal transition, is menstrual irregularity. The cycles have long intervals (greater than 60 days).